Scrub typhus caused by R-tsutsugamushi is transmitted by?
1. Flea
2. Chigger
3. Tick
4. Mosquito

Correct answer: 2. Chigger

Explanation: Ans. is 'b' i.e., ChiggerScrub typhus is the most widespread Rickettsial disease.It is caused by R. tsutsugamushi (orientia tsutsugamushi) and the vector of its transmission is trombiculid mite (Leptotrombidium delinese and L. akamushi).